Diarrhoeal cases among children of an urban slum are on a rise. Almost all the mothers are illiterate and belong to lower socioeconomic class. It seems difficult to make them understand the use of ORS. What method can provide the best solution in this scenario?
1. Radio Programme
2. Poster competition
3. Role playing
4. Lectures

Correct answer: 3. Role playing